A 5 years old child presents with perivascular IgA deposition and neutrophilic collection. There is erythematous rash on the lower limb and non blanching purpura. Probable diagnosis is:
1. Henoch-Schonlein purpura
2. Wegener's granulomatosis
3. Vasculitis
4. Kawasaki diseases

Correct answer: 1. Henoch-Schonlein purpura

Explanation: a. Henoch-Schonlein purpura(Ref: Nelson's 20/e p 1216, Ghai 8/e p 632-633)The typical non blanching purpura with presence of IgA and neutrophils around vessels confirms the diagnosis of H.S.PAlthough palpable purpura may be present in Wegener's granulomatosis, biopsy characteristically shows necrotizing granulomatous vasculitis.